A 50 year old female presents with involuntary loss of urine on coughing or sneezing since 3 years, more frequently.  which of the following type of incontinence is the patient suffering from
1. Stress incontinence
2. Urgency incontinence
3. Overflow incontinence
4. Functional incontinence

Correct answer: 1. Stress incontinence

Explanation: Involuntary leakage of urine with increase in intraabdominal pressure is stress urinary incontinence.